Which of the following is false about Longitudinal studies?
1. Helps us study natural history of a disease
2. Helps in identification of risk factor of a disease
3. Helps us find out rate of occurrence of new cases of a disease
4. Easy to organize and less time consuming

Correct answer: 4. Easy to organize and less time consuming

Explanation: Longitudinal studies Longitudinal studies are defined as studies having a direction. Longitudinal studies : Helps us study natural history of a disease. Helps in identification of risk factors of a disease. Helps in find out rate of occurrence of new cases of a diseases. Difficult to organize and more time consuming. Includes 1. Cohort study :Forward (prospective) direction; 2 . Case control study :Backward (retrospective) direction. Vertical study/ Non-longitudinal study : Include cross-sectional study aka snapshot/ prevalence study , Ecological study aka co-relational study.